'Peg cells' are seen in which of the following part of the female genital tract?
1. Vagina
2. Vulva
3. Ovary
4. Fallopian Tubes

Correct answer: 4. Fallopian Tubes

Explanation: There are three types of cells present in the epithelium of fallopian tubes, they are ciliated epithelial cells, nonciliated secretory cells and intercalated or peg cells called stem cells. Peg cells can differentiate into either of the other two types of cells. Peg cells: They are abundant during the premenstrual and menstrual periods. They have long slender, rod like nuclei and small amount of cytoplasm squeezed by adjoining cells. They represent secretory cells in transitional stages. Fallopian tubes usually measures between 8-14cm and is divided into an interstitial portion, isthmus, ampulla and infundibulum. Ref: Textbook of Pathology By V. Krishna page 930, Syllabus of Gynecologic Pathology with Clinical Correlations By Tung Van Dinh page 82